Angina pectoris is best diagnosed by
1. History
2. ECG
3. Cardiac Enzyme
4. Echo

Correct answer: 1. History

Explanation: Ans. A. HistoryAngina Pectoris is best diagnosed by history.a. This is due to myocardial ischemia and presents as a central chest tightness or heaviness (Levine sign) which is brought on by exertion and relieved by rest.b. It may radiate to one or both arms, the neck, jaw or teeth. Atherosclerosis is the most common cause of CAD.c. ECG and Echo may be normal and cardiac enzyme are usually not raised in angina.